Carrier who receives organisms from other carrier
1. Contact carrier
2. Paradoxical carrier
3. Convalasent carrier
4. Chronic carrier

Correct answer: 2. Paradoxical carrier

Explanation: convalascent carrier -those who continue to shed the disease agent during the period of convalscence eg.typhoid fever,dysentery chronic carrior -one who excreats infections for indefinite periods eg.hepatitis B,Typhoid fever (park,edition 23,page 96) contact carrier -person who acquires pathogen from a patient paradoxical carrier-person who acquires pathogen from another carrier (textbook of microbiology,anandanarayanan & paniker,edition 9,page 72)